The principle and the most potent estrogen secreted by mature ovary:
1. Estrogen
2. Estriol
3. Estradiol
4. Estrone

Correct answer: 3. Estradiol

Explanation: Ans. c (Estradiol). (Ref. Ganong Physiology 22nd ed. 438; Harrison's internal medicine 16th ed. 2202) ESTROGENSourceOvary (estradiol), placenta (estriol), blood (aromatization), testes.PotencyEstradiol > estrone > estriolHRTReduces the risk of:# heart disease,# hot flushes, and# postmenopausal osteoporosis.Unopposed estrogen therapyIncreases the risk of endometrial cancer, however, use of progesterone with estrogen decreases this risk.Functions1. Growth of follicle2. Endometrial proliferation, myometrial excitability3. Genitalia development4. Stromal development of breast5. Fat deposition6. Hepatic synthesis of transport proteins7. Feedback inhibition of FSH8. LH surge (estrogen feedback on LH secretion switches to positive from negative just before LH surge)09. Increased myometrial excitability.10. Growth of follicle